All are true about ranula except ?
1. Retention cyst
2. Translucent swelling
3. Painless swelling
4. Arises from submandibular gland

Correct answer: 4. Arises from submandibular gland

Explanation: Ans. is'd' i.e., Arises from submandibular gland Ranula Ranula, also known as mucous retention cyst, is a type of mucocle found on the floor of mouth on one side of the frenulon. It arises from sublingual salivary gland, due to obstruction of its duct and is almost always unilateral. In occurs mostly in children and young adults. Clinical features Ranula is usually asymptomatic, and only complain isfluctuant swelling with a bluish translucent colour. Swelling is painless unless it becomes secondarly infected. Overlying mucosa is intact and ranula is not fixed. Treatment Surgical excision of both the gland as well as the lesion. Ranulas are likely to recur if the sublingual gland causing them is not removed with the lesion.